Kiesslebach's plexus is situated on the:
1. Medial wall of the middle ear
2. Latera wall of the nasopharynx
3. Medial walk of the nasal cavity
4. Laryngeal aspect of epiglottis

Correct answer: 3. Medial walk of the nasal cavity

Explanation: Kiesslebach's plexus us situated in the anterior inferior part of nasal septum(which forms the medrol wall of nose) just above the vestibule. Ref Dhingra 6/e,P 176.